Heart failure cells are seen in?
1. Pulmonary infarction
2. Pulmonary edema
3. Pneumonia
4. Pulmonary embolism

Correct answer: 2. Pulmonary edema

Explanation: Ans. is 'b' i.e., Pulmonary edema * Heart failure cells are Hemosiderin laden alveolar macrophages.* Heart failure cells are a manifestation of pulmonary congestion and edema (as seen in heart failure).* Pulmonary edema & pulmonary infarction can be differentiated by the presence of heart failure cells in pulmonary edema.